In spinal groove, radial nerve is accompanied by
1. Median nerve
2. Axillary artery
3. Profunda brachii artery
4. Musculocutaneous nerve

Correct answer: 3. Profunda brachii artery

Explanation: radial nerve- At the beginning of the brachial artery, the radial nerve lies posterior to the artery. Soon the nerve leaves the artery, by entering the radial (spiral) groov on the back of the arm where it is accompanied by th profunda brachii artery. Ref : B D Chaurasia's Human Anatomy , seventh edition , volume 1 , pg. no. 96 fig. Ref : B D Chaurasia's Human Anatomy , seventh edition , volume 1 , pg. no.74 ( fig. no. 6.11 )